The treatment of choice for hydatiform mole with a uterine size of 28 weeks is:
1. Suction evacuation
2. Intra -amniotic saline followed by oxytocin
3. Evacuation by misoprostol and Mifepristone
4. Methotrexate administration

Correct answer: 1. Suction evacuation

Explanation: Management of vesicular mole/complete mole Suction evacuation (also do a gentle curettage with a sharp curette) Do USG after a week to rule out retained bits Do CXR to rule out metastasis HCG follow up